Which of the following statements about Anaesthetic Machine is true –
1. Temperature of Desflurane Vaporizer Chamber is 39°C
2. Flow-meters (Rotameters) are Interchangeable
3. Oxygen sensors are placed on the expiratory limb of the anesthesia circuit
4. All of the above

Correct answer: 1. Temperature of Desflurane Vaporizer Chamber is 39°C

Explanation: Temperature of Desflurane Vaporizer Chamber is 39°C (Unique Features of Desflurane Vaporizers).
Flow-meters (Rotameters) are not interchangeable.
Oxygen sensors are placed on the Inspiratory limb of Anesthesia Circuit.